The conversion of propionyl CoA to succinyl CoA requires the following vitamins/coenzymes
1. Thiamine pyrophosphate
2. FAD and NAD+
3. Coenzyme A
4. Biotin and B12

Correct answer: 4. Biotin and B12

Explanation: Propionate is a major precursor of glucose in ruminants; It enters gluconeogenesis the citric acid cycle. After esterification with CoA, propionyl-CoA is carboxylated to d-methylmalonyl-CoA, catalyzed by propionyl-CoA carboxylase, a biotin-dependent enzyme.l-methylmalonyl-CoA undergoes isomerization to succinyl-CoA catalyzed by methylmalonyl-CoA mutase. Methylmalonyl-CoA mutase is a vitamin B12-dependent enzyme, and in deficiency methylmalonic acid is excreted in the urine (methylmalonic aciduria).Ref: Harper's Biochemistry; 30th edition; Chapter 19; Gluconeogenesis & the Control of Blood Glucose